Disinfection by autoclaving is NOT recommended for -
1. Sputum
2. Linen
3. Sharp instrument
4. Glass syringes

Correct answer: 3. Sharp instrument

Explanation: .sterilizers which operate at high temperatures and pressure are called autoclaves.they generate steam under pressure or saturated steam which is the most effective sterilizing agent.they fall in two categories,grvity displacement autoclaves and high speed pre-vaccum autoclaves.works on the same principle as that of a pressure cooker.widely used in the hospital and laboratry practice.it destroys all forms of life,including spores.most effective method for the sterilization of linen,dressings,gloves,syringes,and culture media.not suitable for sterilization of plastic and sharp instruments. ref:park's textbook,ed 22,pg no 120